Schober's sign is for:
1. Flexion of lumbar spine
2. Chest expansion
3. Pain with motion of hip
4. Neck pain and stiffness

Correct answer: 1. Flexion of lumbar spine

Explanation: * Schober's test is measure of flexion on lumber spine * This test is done in ankylosing spondylitis